All of the following are the components of the white pulp of spleen, except:
1. Periarteriolar lymphoid sheath
2. B cells
3. Antigen presenting cells
4. Vascular sinus

Correct answer: 4. Vascular sinus

Explanation: Periarteriolar lymphoid sheath, B cells and Antigen presenting cells are components of white pulp. Vascular sinus is a part of red pulp not white pulp.